Macrosomia is
1. Large size baby
2. Big mouth
3. Large head
4. Large tongue

Correct answer: 1. Large size baby

Explanation: The term "macrosomia" is used to describe a newborn who's significantly larger than average ( large size baby ). A baby diagnosed with fetal macrosomia has a birth weight of more than 4,000 grams (8 pounds 13 ounces), regardless of his or her gestational age. Another definition of macrosomia is a birth weight above the 90th percentile, corrected for gestational age and sex. Factors associated with fetal macrosomia include high blood sugar levels from gestational diabetes or diabetes mellitus, ethnicity (Hispanic women are more at risk), obesity, gaining extra weight during the pregnancy, carrying baby past term, gender of fetus (males are more prone to macrosomia), history of a previous large baby. Reference : page 137 Ghai Essential Pediatrics 8th edition